Protein requirement of an adult is
1. 0.7 gm/kg in terms of Egg protein & 0.7 gm/kg in terms of mixed vegetable protein
2. 1.0 gm/kg in terms of Egg protein & 1.0 gm/kg in terms of mixed vegetable protein
3. 0.7 gm/kg in terms of Egg protein & 1.0 gm/kg in terms of mixed vegetable protein
4. 1.0 gm/kg in terms of Egg protein & 0.7 gm/kg in terms of mixed vegetable protein

Correct answer: 3. 0.7 gm/kg in terms of Egg protein & 1.0 gm/kg in terms of mixed vegetable protein

Explanation: Protein requirement of an adult:

0.7 gm/kg/day in terms of Egg protein or
1.0 gm/kg/day in terms of mixed vegetable protein (NEW GUIDELINE: 0.83 g/kg/d)

Egg protein has the highest NPU of 96.
Indian Council of Medical Research (ICMR) has recommended 1.0 gm protein per kg of body weight for an Indian adult, assuming a NPU of 65 for dietary proteins.